Micro abrasion involves the use of:
1. Sulphuric acid
2. Acetic acid
3. Phosphoric acid
4. Hydrochloric acid

Correct answer: 4. Hydrochloric acid